An elderly patient complains of recurrent episodes of amaurosis fugax. This is attributable to microembolization of which of the following?
1. Facial artery
2. Retinal artery
3. Occipital artery
4. Posterior auricular artery

Correct answer: 2. Retinal artery

Explanation: Amaurosis fugax, one type of TIA, is a manifestation of carotid bifurcation atherosclerotic disease. It is manifested by unilateral blindness, being described by the patient as a window shade across the eye, lasting for minutes or hours. It is caused by micro emboli from a carotid lesion lodging in the retinal artery, the first intracerebral branch of the internal carotid artery.